Preganglionic parasympathetic fibres to parotid gland relay at
1. Geniculate ganglion
2. Otic ganglion
3. Sub mandibular ganglion
4. Stellate ganglion

Correct answer: 2. Otic ganglion

Explanation: Sensory root by the auriculotemporal nerve. Sympathetic root is by the sympathetic plexus around middle meningeal artery. Secretomotor root is by the lesser petrosal nerve from the tympanic branch of cranial nerve IX. Motor root is by a branch from nerve to medial pterygoid. Ref BDC volume3,6th edition pg 311